Most common presentation of infant with bilateral choanal atresia:
1. Difficulty in breathing
2. Dysphagia
3. Smiling
4. Difficulty in walking

Correct answer: 1. Difficulty in breathing

Explanation: Ans. is a i.e. Difficulty in breathing Choanal atresia is usually U/L. If it occurs bilaterally the neonate presents with difficulty in breathing as infant is a nose breather and does not breathe from mouth. The neonate may have asphyxia and bilateral blockage of nose that also makes suckling difficult. U/L atresia presents with nasal obstruction including snoring but goes unidentified till adult life.